Cancer which most commonly metastasizes to jaw bone is:
1. Breast
2. Prostatic
3. Lung
4. Kidney

Correct answer: 1. Breast